Carbon monoxide poisoning causes:
1. Anemic hypoxia
2. Histotoxic hypoxia
3. Anoxic hypoxia
4. Stagnant hypoxia

Correct answer: 1. Anemic hypoxia

Explanation: Ans. Anemic hypoxia